Balthazar scoring system is used for
1. Acute pancreatitis
2. Acute appendicitis
3. Acute cholecystitis
4. Cholangitis

Correct answer: 1. Acute pancreatitis

Explanation: Computed Tomography severity index(CTSI) for acute pancreatitis CTSI= Balthazar grade score + necrosis score Highest attainable score =10 CTSI score 0-3: Mortality 3%,Morbidity 8% 4-6: Mortality 6%, Morbidity 35% 7-10: Mortality 17%, Morbidity 92% Refer CTSI table Ref: Sabiston 20th edition Pgno :1527